CRISPR - Cas9 mediated gene editing involves which DNA repair mechanism
1. Nucleotide excision repair
2. Mismatch repair
3. Base excision repair
4. Non Homologous End joining repair

Correct answer: 4. Non Homologous End joining repair

Explanation: CRISPR - Cas9 involves both homologous and non homologous end joining repair mechanism.